Infant is admitted with respiratory distress and prolonged expiration with rhonchi in chest. CXR shows hyperinflation. What is the diagnosis?
1. Pneumonia
2. Croup
3. Asthma
4. Bronchiolitis

Correct answer: 4. Bronchiolitis

Explanation: Given scenario suggests diagnosis of Bronchiolitis: MC LI in infants. Age group 6 months to 2 years. MC agent is RSV.